Risk of recurrence of H mole in future pregnancy Is:
1. 1-4%
2. 4-8%
3. 8-10%
4. 10-12%

Correct answer: 1. 1-4%

Explanation: The risk of recurrence of hydatidiform mole on future pregnancy is about 1-4%. Reference:DC Dutta's Textbook of obstetrics,8th edition,page no:226